Drug not used in visceral leishmaniasis ?
1. Pentamidine
2. Paromomycin
3. Miltefosine
4. Hydroxychloroquine

Correct answer: 4. Hydroxychloroquine

Explanation: Hydroxychloroquine Treatment of Visceral leishmaniasis Pentavalent antimonydeg (as sodium stibogluconate or meglumine antimonite)deg Amphotericin Bdeg Liposomal amphotericin B Miltefosinedeg Pentamidinedeg Aminosidine